Anterolateral arthroscopy of knee is for:
1. To see patellofemoral articulation
2. To see the posterior cruciate ligament
3. To see the anterior portion of lateral meniscus
4. To see the periphery of the posterior horn of medial meniscus

Correct answer: 1. To see patellofemoral articulation

Explanation: (a) To see patellofemoral articulationExplanationStandard portals in knee arthroscopy1. Anterolateral portal- Almost all the structures within the knee joint can be seen except the posterior cruciate ligament, the anterior portion of the lateral meniscus, and the periphery of the posterior horn of the medial meniscus in tight knees.- Located 1cm above the joint line, 1cm lateral to the margin of the patellar tendon.2. Anteromedial portal- Used for additional viewing of lateral compartment and insertion of probe for palpation of medial and lateral compartment structures.- Placed 1cm above the medial joint line, 1cm inferior to the tip of patella, and 1cm medial to the edge of the patella.3. Posteromedial portal- Located on the soft triangular soft spot formed by the posteromedial edge of the femoral condyle and the posteromedial edge of tibia.- Used for viewing the posteromedial structures and for repair or removal of the displaced posterior horn of meniscal tears and for posteromedial loose body removal.4. Superolateral portal.- Used for diagnostically viewing the dynamics of patella-femoral joint, excision of medial plica.- Located just lateral to the quadriceps tendon and about 2.5cm superior to the superolateral corner of patella.